A sample of human DNA is subjected to increasing temperature until major portion of the sample melts. A small portion of the DNA requires even higher temperature compared to rest of the sample. This may be having higher content of
1. Adenine and guanine
2. Cytosine and guanine
3. Cytosine and thymine
4. Adenine and thymine

Correct answer: 2. Cytosine and guanine

Explanation: C and G have three hydrogen bonds compared to A and T which have two hydrogen bonds. Hence C-G base pair rich, DNA has high melting temperature.